All of the following are thought disorders, EXCEPT:
1. Paranoia
2. OCD
3. Delusion
4. Visual Hallucination

Correct answer: 4. Visual Hallucination

Explanation: Thought disorders can be of 2 types: a) Disorders of thought form or stream e.g. Thought block, formal thought disorder in Schizophrenia, disorganised thinking, derailment in thinking etc b) Disorders of thought content e.g. Delusions, obsessions and compulsions etcHallucinations are not thought disorders. They are perceptual abnormalities. Hallucinations can however lead to secondary delusions.